Metabolic alkalosis leads to?
1. Low potassium
2. High calcium
3. Low I2 trapping by follicular cells
4. High I2 trapping by follicular cells

Correct answer: 1. Low potassium